Glucose transporters present in the Beta cells of the Islets of Langerhans is
1. GLUT1
2. GLUT2
3. GLUT3
4. GLUT4

Correct answer: 2. GLUT2